Ankylosingspondylitis all is true except ?
1. HLA B 27 is found 90% of sufferers
2. Uvietis is found in 40% of sufferers
3. Condition is commoner in females
4. Radiological changes do not can occur in spine before symptoms

Correct answer: 3. Condition is commoner in females

Explanation: Ans. is 'c' i.e., Condition is commoner in females HLA - B27 is positive in 90-95% of cases. Uveitis occurs in 40% of patients (Harrison 17thie 2111) Ankylosing spondylitis is more common in males. Radiological changes do not occur before clinical smptoms "One of the drawback to radiography is that the disease may be present for 7-10 years before changes are significantly enough to be visualized with conventional X-rays. Thus patients presenting with early - stage ankylosing spondylitis will most likely have a negative X-ray". - Medifocus Guidebook on ankylosing spondylitis